The nerve affected in carpal tunnel syndrome is -
1. Radial nerve
2. Anterior Interosseus nerve
3. Superficial palmar branch of radial nerve
4. Median Nerve

Correct answer: 4. Median Nerve

Explanation: Ans. is 'd' i.e., Median Nerve Entrapment neuropathiesi) Carpal tunnel:- Median nerve (carpal tunnel syndrome)ii) Cubital tunnel:- Ulnar nerve (cubital tunnel syndrome)iii) Guyon's canal:- Ulnar nerve (Guyan's canal syndrome)iv) Tarsal tunnel:- Posterior tibial nerve (Tarsal tunnel syndrome)v) Inguinal ligament:- Lateral cutaneous nerve of thigh (meralgia paraesthetica).vi) Suprascapular notch:- Suprascapular nervevii) Neck of fibula:- Common peroneal nerveviii) Fascial tunnel of superficial peroneal nerve:- Superficial peroneal nerveix) Arcase of Frohse:- Posterior interosseous syndromex) Thoracicoutlet:- Lower trunk of brachial plexusxi) Compression in the foot:- Digital nerve (Morten's metatarsalgia)